In triple antibiotic paste minocycline can be replaced by:
1. Tetracycline
2. Cefexime
3. Cefuroxime
4. Cefaclor

Correct answer: 4. Cefaclor

Explanation: Ciprofloxacin, Minocycline and Metronidazole comprise the triple antibiotic paste which can be used as intracanal medicament to disinfect the canal. Minocycline causes discoloration of teeth. That is why Cefaclor has been substituted in place of Minocycline.